At what age does the first tooth erupt in the oral cavity?
1. 6 months
2. 9 months
3. 6 weeks
4. 7 weeks

Correct answer: 1. 6 months